High or low fistula in ano is termed according to its internal opening present with reference to -
1. Anal canal
2. Dentate line
3. Anorectal ring
4. Sacral promontory

Correct answer: 3. Anorectal ring